Maximum cholesterol is seen in ?
1. VLDL
2. LDL
3. HDL
4. Chylomicrons

Correct answer: 2. LDL

Explanation: Ans. is 'b' i.e., LDL Maximum triglyceride content - ChylomicronsMaximum exogenous triglyceride - ChylomicronsMaximum endogenous triglyceride - VLDLMaximum cholesterol content - LDL